Teratogenic effects are rare with which of the following infections:
1. CMV
2. Rubella
3. Varicella
4. HIV

Correct answer: 4. HIV

Explanation: Ans. D: HIV